9 families surveyed have 1, 2,2, 2,3,4, 4, 6, 7 children respectively. The mean, median, mode respectively are -
1. 3.4., 2, 3
2. 3,2,3
3. 3,3,3
4. 3.4,3,2

Correct answer: 4. 3.4,3,2